Eschar is formed in which of the following organism
1. Bartonella henselae
2. Bordetella pertussis
3. Bacillus anthracis
4. Escherichia coli

Correct answer: 3. Bacillus anthracis

Explanation: Cutaneous anthrax is caused by bacillus anthrax. The lesion starts as a papule 1-3 days after infection and becomes vesicular, containing a fluid which may be clear or bloodstained. The whole area is congested and edematous, and several satellite lesions filled with serum or yellow fluid are arranged around a central necrotic lesion which is covered by black eschar. The lesion is called a malignant pustule. Ref: Textbook of microbiology; Ananthanarayan and paniker's; 10th Edition; Pg: 250